Positive acid schiff macrophages seen in ?
1. Whipples disease
2. Crohns disease
3. AID
4. None of the above

Correct answer: 1. Whipples disease

Explanation: The traditional laboratory diagnosis is based on light microscopy, which shows diastaseresistant, periodic acid-Schiff (PAS)-positive, non-acid-fast granules in ..... The distinction could be made by acid-fast staining, which is positive for patients infected with M. avium and negative for those with Whipple's disease. REF : HARRISONS 21ST ED